Methylene blue reduction test is done for estimating?
1. Fat content of milk
2. Sugar content of milk
3. Protein content of milk
4. Bacterial activity in milk

Correct answer: 4. Bacterial activity in milk

Explanation: Ans. is 'd' i.e., Bacterial activity in milk